Investigation of choice for screening of proximal internal carotid artery stenosis is :
1. Doppler flow USG
2. CT substraction angiography
3. MRI
4. Angiography (DSA)

Correct answer: 1. Doppler flow USG

Explanation: Answer is A (Doppler flow USG): 'Stenosis at the origin of the internal carotid Artery can be identified and quantified reliably by ultrasonography that combines B mode ultrasound image with a Doppler ultrasound assessment of flow velocity.'